Which of the following changes does not occur in malignant hypertension :
1. Peticheal Haemorrhages on cortical surface
2. Fibrinoid necrosis of arterioles
3. Intimal concentric thickening
4. Hyaline arteriosclerosis

Correct answer: 4. Hyaline arteriosclerosis

Explanation: Answer is D (Hyaline Arteriosclerosis) : Hyaline arteriosclerosis is a feature of Benign Nephrosclerosis associated with benign phase of Hypertension. It is not a ,feature of Malignant Hypertension.